What will be the effect on respiration if a transaction is made between pons and medulla?
1. Apnoea
2. Irregular and gasping
3. No effect
4. Slow and deep

Correct answer: 2. Irregular and gasping

Explanation: Ref: Ganong 25th ed/page 656